Rat flea transmits all the following except -
1. Plague
2. Salmonellosis
3. Hymenolopsis
4. Endemic typhus

Correct answer: 2. Salmonellosis

Explanation: Rat flea transmits disease by biting, mechanical transmission and by faeces. They transmit Plague, Endemic or murine typhus, Chiggerosis Hymenolepis diminuta. Park's Textbook of Preventive and Social Medicine, 25th edition, Page No. 838